Feature which differentiates true from artificial bruise is -
1. Round shape with irregular margins
2. Irregular shape with regular margins
3. Swelling of surrounding area
4. Erythema of surrounding area

Correct answer: 1. Round shape with irregular margins

Explanation: The synopsis of forensic medicine & toxicology ; Dr k.s.narayan ; 28 th edition Pg .no. 110 Table 8-3 Shape of true bruise is usually round while that of artificial bruise is irregular .Erythema & swelling seen in the surrounding area in case of artificial bruise not in true bruise .In true bruise erythema and swelling is seen in the site .